In a preterm baby with respiratory distress syndrome, which of the following lipid would be deficient?
1. Sphingomyelin
2. Cardiolipin
3. Lecithin
4. None of the above

Correct answer: 3. Lecithin

Explanation: Respiratory Distress Syndrome / Hyaline Membrane Disease: Most common cause of respiratory distress in preterm neonate Basic defect: Deficiency of mature surfactat SURFACTANT COMPOSTION: DPPC (Di-Palmitoyl-Phosphatidyl Choline) or Lecithin:The most important lipid component of surfactant, Phosphatidyl glycerol, Cholesterol, Surfactant proteins: A, B, C, D, The most important surfactant protein:Surfactant protein B.